Egg-shaped pontic is indicated for the replacement of
1. Mandibular posteriors
2. Mandibular anteriors
3. Maxillary posteriors
4. Maxillary anteriors

Correct answer: 1. Mandibular posteriors